In the treatment of variocele, testicular vein ligation is done at the level of :
1. Above inguinal ligament
2. Below inguinal ligament
3. Neck of the sack
4. Scrotum

Correct answer: 1. Above inguinal ligament

Explanation: "The simplest surgical procedure is ligation of the testicular vein above the inguinal ligament where the pampiniform plexus has coalesced into one or two vessels". - Bailey & Love